Structure which develop from neural crest are/is;
1. Enamel of tooth
2. Thoracic duct
3. Adrenal medulla
4. Spinal nerves

Correct answer: 3. Adrenal medulla

Explanation: C i.e. Adrenal medullaBrain, spinal cord and cauda equine are derivatives of neural tube not neural crestQAdrenal cortex develop from coelomic epitheliwn(2; where as Adrenal medulla develops from neural crestQ.Congenital megacolon or Hirschspurg's disease results when the migration of neural crest cells arrests at some point before reaching the anus. QEnamelQ is derived from ectoderm; Mesenchyme of dental papillaQ derived from neural crestHeart, blood vessels, lymphatics & blood cellsQ develop from mesoderm